Sclerotic lesion in the bone is seen in all except -
1. Osteitis fibrosa
2. Osteopetrosis
3. Melorheostosis
4. Caffey's disease

Correct answer: 1. Osteitis fibrosa